In a small child diagnosed with H.influenzae meningitis, what investigation must be done before discharging him from the hospital ?
1. BERA
2. MBI
3. CT scan
4. X–ray skull

Correct answer: 1. BERA

Explanation: Auditory Brainstem evoked response (ABER), also called Brainstem evoked response audiometry (BERA) should be done.
After H. influenza meningitis sensor neural hearing loss occurs in 5-10% of patients during long term follow up.
Therefore Auditory rain Stem Evoked Response is done to check the peripheral auditory system.